True about vibrio parahemolyticus-
1. Halophilic
2. Capsulated
3. Peritrichous flagella
4. All are true

Correct answer: 4. All are true

Explanation: Ans. is 'd' i.e., All are true Vibrio parahemolyticuso It is a halophilic vibrio.o Inhabits the coastal sea, where it is found in fishes arthopods such as shrimps and crabs and molluscs such as oyster.o It resembles the cholera vibrio except that:# It is capsulated.# Shows bipolar stainingo Produces peritrichous flagella when grown on solid medium (V. cholerae has polar flagella), in liquid medium polar flagella are formed.o It grows, only in media containing NaCl, optimum cone, is 2-4%o Its enteropathogenicity is closely linked to its ability to cause hemolysis on Wagatsuma agar - the Kanagawa phenomenon.o V. parahemolyticus causes common source outbreaks of diarrhea after consumption of undercooked or improperly handled seafood or of other food contaminated by sea watero It can result in two distinct gastrointestinal presentation:i) Watery diarrhea: It is more common and occurs in North Americaii) Dysentry: It is less common and occurs in India and Bangladesh.